Misoprostol is an analogue of:
1. PGE1
2. PGE2
3. PGF2
4. PGI2

Correct answer: 1. PGE1